Which of the following is a BNP analogue?
1. Eplerenone
2. Nesiritide
3. Levosimendan
4. Coenzyme Q

Correct answer: 2. Nesiritide

Explanation: Ans. B. NesiritideBNP (Brain natriuretic peptide) is peptide which is secreted & formed in right atrium of the heart. This is responsible for vasodilation & hence used in CHF. Nesiritide is BNP analogue